All of the following structures forms the boundaries of the quadrangular space which is present under the deltoid muscle in the shoulder region, from the posterior side, EXCEPT?
1. Teres minor
2. Teres major
3. Surgical neck of humerus
4. Long head of biceps brachii

Correct answer: 4. Long head of biceps brachii

Explanation: Structures forming the boundaries of the quadrangular space from the posterior side are:Superiorly by teres minorInferiorly by teres majorLaterally by surgical neck of humerusMedially by long head of triceps brachiiContents of the quadrangular space are:Axillary nervePosterior circumflex humeral vesselsSagging part of shoulder joint capsule.